In describing the structure of steroid hormones, DHEA belong to which of the following group in the classification of steroid hormones
1. C19
2. C21
3. C17
4. C18

Correct answer: 1. C19